Ossification centre appearing just before birth is:
1. Lower end of femur
2. Lower end of tibia
3. Upper end of humerus
4. None of the above

Correct answer: 1. Lower end of femur

Explanation: Ans. A i.e. Lower end of femur